Argyll Robertson pupil is commonly seen in:
1. Retinitis pigmentosa
2. Diabetic retinopathy
3. Encephalitis
4. Neurosyphilis

Correct answer: 4. Neurosyphilis

Explanation: Ans. D i.e. Neurosyphilis